Most common type of schizophrenia is:
1. Simple
2. Paranoid
3. Catatonic
4. Undifferentiated

Correct answer: 2. Paranoid

Explanation: Paranoid